A 27 year old male patient is referred for resection of pheochromocytoma. Which of the following medications should the patient be taking prior to surgery
1. Propranolol
2. Labetalol
3. Phenoxybenzamine
4. Hydralazine

Correct answer: 3. Phenoxybenzamine

Explanation: Phenoxybenzamine is non selective alpha antagonist, which prevents vasoconstriction. If patient receives beta blocker without alpha blockade, he will experience alpha mediated vasoconstriction that would result in very high blood pressure.